Hot nodule in a liver scan is due to
1. Hepatic adenoma
2. Focal nodular hyperplasia
3. Metastasis
4. HCC

Correct answer: 2. Focal nodular hyperplasia

Explanation: 50% of the focal nodular hyperplasia shows the presence of Kupfer cells (phagocytes). So uptake of sulfur colloid is noted in these lesions. No uptake is seen in HCC, hepatic adenoma, and metastases.